Which of the following is included as "proximate principles" of nutrition?
1. Iron
2. Vitamin A
3. Carbohydrate
4. Calcium

Correct answer: 3. Carbohydrate

Explanation: Macronutrients are also known as proximal principles of nutrition as they form the major bulk of food consumed by us. Macronutrients include carbohydrates, proteins and fats. Ref: Park's, 21st Edition, Page 562.